True about Clostridium tertium -a) Gram variableb) Terminal sporec) Produces exotoxind) Causes septic orthritis
1. acd
2. bcd
3. abc
4. abd

Correct answer: 4. abd

Explanation: Cl. tertium:

Nonexotoxin-producing, Aerotolerant, Gram variable
Oval and terminal spore – tennis racket shaped
Resembles lactobacilli
It is a rare human pathogen
Causes: Necrotizing Fasciitis and Gangrene, septicemia, septic arthritis

Apurba Sastry’s Essentials of Medical Microbiology 1/e p264